A 35 year old male patient develops involvement of proximal and distal interphalangeal joints and 1st canpo-metacarpal joints with sparing of wrist and metacarophalangeal joint. The Diagnosis is:
1. Osteoarthritis
2. Psoriatic arthropathy
3. Rheumatoid arthritis
4. Pseudogout

Correct answer: 1. Osteoarthritis

Explanation: Answer is A (Osteoarthritis)